Common source of staph in hospital -a) IV fluidsb) Infective woundsc) Hands of hospital personneld) Bed linene) Instruments
1. a
2. c
3. bc
4. ad

Correct answer: 3. bc

Explanation: Hospital infection 

For staphylococci most common source of infection are human and carriers, animal and inanimate objects being less common. Patients with superficial infections (i.e., infective wounds) and respiratory infections disseminate large numbers of staphylococci into the environment.


Transmission of staphylococci results most frequently from transient colonization of hands of hospital personnel, who then transfer strains from one patient to another. (Harrison 17th/e p. 873)
The cocci shed by patients and carriers contaminate fomites such as handkerchiefs, bed linen and blankets and may persists on them for day and week.

Don't get confused by option 'd', bed linen is a source of infection but it is not a common source - "inanimate objects are less common source of infection."